Regarding Hepatitis E true is:
1. Occurs with Hepatitis B
2. Single stranded DNA virus
3. Occurs along with HIV
4. Mortality increased in pregnancy

Correct answer: 4. Mortality increased in pregnancy

Explanation: Ans. is 'd' i.e., Mortality increased in pregnancy (Ref: Ananthanarayan, 9th/e, p. 550 and 8th/e, p. 546)* A unique feature of hepatitis E is high case fatality rate of 20 - 40% in pregnant women, especially in the last trimester of pregnancy.